Number of milk teeth:
1. 12
2. 16
3. 20
4. 24

Correct answer: 3. 20

Explanation: Ans. 20